All of the following are contraindications of ventouse extraction, EXCEPT:
1. Foetal macrosomia
2. Face presentation
3. Transverse lie
4. Anemia

Correct answer: 4. Anemia

Explanation: Contraindications for ventouse delivery: Any presentation other than vertex (face, brow, breech) Preterm fetus ( Suspected fetal coagulation disorder Suspected fetal macrosomia (>4 kg) Ref: Textbook of Obstetrics by DC Dutta, 6th edition, Page 580.